Murmur increasing with Valsalva manouvre aEUR'
1. VSD
2. HOCM
3. MS
4. AS

Correct answer: 2. HOCM

Explanation: HOCM EFFECT OF VARIOUS INTERVENTIONS ON SYSTOLIC MURMURS Valsalva maneuver Most murmurs decrease in length and intensity with valsalva mane- uver. Two exceptions are:? - HOCM --> becomes louder - Mitral valve prolapse - becomes longer and louder Mitral Regurgitation The systolic murmur of M.R. is reduced during the strain phase of valsalva maneuver.